The translocation seen in follicular lymphoma is
1. T(11,14)
2. T(14,18)
3. T(9,22)
4. T(8,14)

Correct answer: 2. T(14,18)

Explanation: Follicular lymphoma is a non-Hodgkin's lymphoma. When you havefollicular lymphoma, the sick blood cells can travel to many parts of your body, such as your organs, bone marrow, and lymph nodes (pea-sized glands in your neck, groin, and under your arms that are part of your immune system Follicular lymphoma is a malignant counterpart to normal germinal B cells, and the majority of patients with this disorder show chromosomaltranslocation t(14;18)(q32;q21), which creates a derivative of chromosome 14 on which the BCL-2 gene is juxtaposed to immunoglobulin heavy-chain gene (IgH) sequence. Refer robbins 9/e